Gartner's cyst can be differentiated from cystocele by all except
1. Not reducible
2. No impulse on coughing
3. Presence of rugosities of overlying vaginal mucosa
4. Margins are well defined

Correct answer: 3. Presence of rugosities of overlying vaginal mucosa

Explanation: Features of Gartner's cyst Situated anteriorly or anterolaterally and of various sizes Rugosities of the overlying vaginal mucosa are lost Vaginal mucosa over it becomes tense and shiny Margins are well defined It is non reducible There is no impulse on coughing The metal catheter tip introduced per urethra fails to come underneath the vaginal mucosa D.C.DUTTA'S TEXTBOOK OF GYNAECOLOGY,Pg no:210,6th edition